A minor symptom of sinusitis is
1. Nasal blockage
2. Facial congestion
3. Nasal congestion
4. Halitosis

Correct answer: 4. Halitosis

Explanation: The clinical symptoms of acute sinusitis have been classified into major and minor. Major Facial pain or pressure Purulent nasal discharge Fever Nasal congestion Nasal obstruction Hyposmia or Anosmia Facial congestion or fullness Minor Headache Cough Fatigue Halitosis Dental pain Ear pain or pressure